Pulsus bisiferiens is seen in all, EXCEPT:
1. Aortic regurgitation + Aortic stenosis
2. Aortic regurgitation
3. Hypertrophic cardiomyopathy
4. Tetralogy of Fallot

Correct answer: 4. Tetralogy of Fallot

Explanation: Answer is D (Tetralogy of Fallot) Pulsus Bisferiens is not associated with Tetralogy offallot.